To test the association between risk factor and disease, which of the following is the weakest study design -
1. Case-control study
2. Ecological study
3. Cohort study
4. Cross-sectional study

Correct answer: 2. Ecological study